A patient with violent behaviour and agitation was diagnosed as schizophrenia and was prescribed haloperidol. On third day he developed rigidity and was unable to move his neck that fixed his stare to one side. Which of the following drugs can be used for treatment of this patient?
1. Increase dose of haloperidol
2. Promethazine
3. Risperidone
4. Diazepam

Correct answer: 2. Promethazine

Explanation: The given history suggests the presence of acute muscular dystonia induced by haloperidol. Anticholinergics like benzhexol are drug of choice for this condition. However, first generation antihistaminics like Promethazine and hydroxyzine can also be used for the same. REFD: KD TRIPATHI 8TH ED.